Smooth muscle relaxant nitric oxide is synthesized from:
1. Methionine
2. Cyseine
3. Arginine
4. Ornithine

Correct answer: 3. Arginine

Explanation: Ans. (c) ArginineRef: Harper's Biochemistry 30th edn. 1314, 660-61